In congenital dystrophic variety of epidermolysisbullosa, mutation is seen in the gene conding for:
1. Laminin 4
2. Collagen type 7
3. Alpha 6 integerin
4. Keratin 14

Correct answer: 2. Collagen type 7

Explanation: Ans. b. Collagen type 7Epidermolysis bullosa simplex: Keratitis 5 and 14Junctional: LamininDystrophicans: Collagen-7